Most common cause of posterior staphyloma
1. Trauma
2. Glaucoma
3. Myopia
4. Scleritis

Correct answer: 3. Myopia

Explanation: POSTERIOR STAPHYLOMA It effects the posterior pole of the eye and is lined by the choroid. Degenerative high axial myopia is the most common cause. Indirect ophthalmoscopy shows a posterior outward curvature of the globe detected as a crescentric shadow in the macular region. The retinal vessels are seen to change direction, dipping down into the region. The staphylomatous region may appear pale due to degenerative changes in the retina, retinal pigment epithelium and choroid. Ref:- Parsons diseases of eye; pg num:-230